Low glucose in pleural effusion is seen in all except?
1. Rheumatoid arthritis
2. Empyema
3. Malignant pleural effusion
4. Dressler's syndrome

Correct answer: 4. Dressler's syndrome

Explanation: Causes of low pleural fluid sugar: Empyema Tuberculous pleural effusion Rheumatoid pleurisy Lupus pleuritis Malignant effusion Esophageal rupture